Systemic effects of obstructive sleep apnea syndrome (OSAS) include all of the following except _____.
1. Hypertension
2. Cor pulmonale
3. Aortic aneurysm
4. Cardiac arrhythmia

Correct answer: 3. Aortic aneurysm

Explanation: Systemic sequelae of OSAS include hypertension, Cor Pulmonale, and cardiac arrhythmia.